Which among the following is true about ganglion?
1. Collection of neurons in CNS
2. Collection of neurons outside the CNS
3. Collection of dendrites
4. Any collection of neurons

Correct answer: 2. Collection of neurons outside the CNS

Explanation: The definition of a ganglion is a collection of neuron cell bodies located outside the central nervous system. It has a discrete structure with a well-defined connective tissue outer capsule. Inside the ganglion are neuron cell bodies. They occur in the dorsal roots of spinal nerves; in the sensory roots of the trigeminal, facial, glossopharyngeal, vagal and vestibulocochlear cranial nerves; in autonomic nerves and the enteric nervous system.